The parasitic infection capable of producing spinal cord compression is/are -
1. Leishmaniasis
2. Wuchereriasis
3. Echinococcosis
4. Amoebiasis

Correct answer: 3. Echinococcosis

Explanation: Hydatid cyst causes pressure symptoms.